Sickle cell disease is:
1. Inherited as AR
2. Inherited as AD
3. Inherited as XLR
4. Inherited as XLD

Correct answer: 1. Inherited as AR

Explanation: Inherited as AR